All of the following signs are seen in Dermatomyositis except
1. Heliotrope sign
2. Gottron sign
3. Dimple sign
4. Shawl sign

Correct answer: 3. Dimple sign

Explanation: Dimple sign is seen in Dermatofibroma
Dermatomyositis is characterized:

Gottron sign: violaceous eruption an metacarpal or interphalangeal joints.
Heliotroperash: Pink to violaceous erythema over periorbitalarea.